All of the following are fiber posts except:
1. Carbon fiber reinforced.
2. Polyethylene fiber reinforced.
3. Glass fiber reinforced.
4. Aluminium fiber reinforced.

Correct answer: 4. Aluminium fiber reinforced.